Which of the following is the cause of recurrent bilateral conjunctivitis occurring during hot weather in young boys with symptoms of burning, itching, and lacrimation with polygonal raised areas in the palpebral conjunctiva?
1. Trachoma
2. Phlyctenular conjunctivitis
3. Atopic Keratoconunctivitis
4. Vernal Keratoconjunctivitis

Correct answer: 4. Vernal Keratoconjunctivitis

Explanation: Vernal Keratoconjuctivits is bilateral, recurrent, interstitial, self-limiting, allergic inflammation of the conjunctiva which has seasonal incidence. It is usually seen in boys of age group 4-20 years especially during the summer season. Children usually presents with severe burning and itching sensation in the eye. Other associated symptoms include photophobia, lacrimation and ropy discharge from the eyes. Vernal keratoconjunctivitis, also known as "spring catarrh," "seasonal conjunctivitis" or "warm weather conjunctivitis". The upper palpebral conjunctiva often has giant papillae that give a cobblestone appearance. A stringy conjunctival discharge and a fine, fibrinous pseudomembrane (Maxwell-Lyons sign) may be noted. Patients with atopic dermatitis (eczema) often also have atopic keratoconjunctivitis. The symptoms and signs are a burning sensation, mucoid discharge, redness, and photophobia. Ref: Comprehensive Ophthalmology By A.K Khurana, 4th Edition, Page 745 ; Nijm L.M., Garcia-Ferrer F.J., Schwab I.R., Augsburger J.J., Correa Z.M. (2011). Chapter 5. Conjunctiva & Tears. In P. Riordan-Eva, E.T. Cunningham, Jr. (Eds), Vaughan & Asbury's General Ophthalmology, 18e.